Dense cortical bone used for implant placement is found
in:
1. Anteiror mandible
2. Posterior mandible
3. Anterior maxilla
4. Posterior maxilla

Correct answer: 1. Anteiror mandible